Which structure is related to lateral wall of vagina and uterus:
1. Inferior vesical altery
2. Ureter
3. Middle rectal artery
4. Urethra

Correct answer: 2. Ureter

Explanation: Ureter